Following is true about medullobastoma-
1. It is seen mainly in over 50 age group
2. It is radiosensitive tumour
3. Only treatment is surgery
4. Seen in anterior cranial fossa

Correct answer: 2. It is radiosensitive tumour